Low molecular weight neurotransmitters are all except:
1. Glutamate
2. GABA
3. Dopamine
4. Orexins

Correct answer: 4. Orexins

Explanation: Low molecular weight neurotransmitters: (Small molecule transmitter) Glutamate GABA Ach NA Dopamine High molecular weight neurotransmitters: (Large molecule transmitter) NP Y Orexins Opioid CA